All of the following drug should be avoided in a patient with acute angle closure glaucoma.except
1. Pilocarpine
2. Clozapine
3. Fluphenazine
4. Paraxetine

Correct answer: 1. Pilocarpine

Explanation: Three drugs given in the option that is clozapine, fluphenazine and paroxetine has anti cholinergic properties and should be avoided in angle closure glaucoma. Refer katzung 10e p461 KDT 6/e p426